Superior thyroid artery is related to?
1. External laryngeal nerve
2. Internal laryngeal nerve
3. Superior laryngeal nerve
4. Recurret laryngeal nerve

Correct answer: 1. External laryngeal nerve

Explanation: Superior thyroid artery is the first anterior branch of the external carotid artery.it runs downwards and forwards in intimate relation to the external laryngeal nerve.after giving branches to adjacent stuctures, it pierces the bpretracheal fascia to reach the upper pole of lobe where the nerve deviates medically.at the upper pole the artery divides into anterior and posterior branches. The anterior branch descends on the anterior border of the lobe and cintinues along the upper border of the isthmus to anastomose with its fellow of the opposite side. Ref BDC volume:3 , 6th edition